Acute mesenteric lymphadenitis is caused by -
1. E. coli
2. α-hemolytic streptococci
3. Hemophilus
4. Yersinia

Correct answer: 4. Yersinia

Explanation: Acute mesenteric lymphadenitis is the diagnosis usually given when enlarged, slightly reddened lymph nodes are encountered at the root of mesentery along with normal appendix when a pt. suspected of appendicitis is opened. "Whether this is a single, discrete entity is unclear, since the causative factor is not known.
Some of these patients have an infection with Y. pseudo tuberculosis or Y. enterocolitis, in which case the diagnosis can be established by culture of the mesenteric nodes or by serologic titres. Children seem to be affected more frequently than men." - Harrison